The following are modes of induction of mid trimester abortions except :
1. Intra amniotic saline
2. Intra amniotic prostaglandins
3. Menstrual regulation
4. Hysterotomy

Correct answer: 3. Menstrual regulation

Explanation: Menstrual regulation